Dharmendra's index and Jopling's classification deals with:
1. TB
2. Leprosy
3. Syphilis
4. Polio

Correct answer: 2. Leprosy

Explanation: Dharmendra's index is for grading the bacterial index in Leprosy. The Ridley and Jopling classification is used for the classification of Leprosy. Ref: Park Textbook of Preventive and Social Medicine, 19th Edition, Page 577; Essentials of Dermatology, Venereology and Leprosy By Chattopadhyay, Page 159; Dermatology By Otto Braun-Falco, Page 223